N K cell shows presence of -
1. CD 44
2. CD 16
3. CD 54
4. CD 32

Correct answer: 2. CD 16

Explanation: Ans. is 'b' i.e., CD 16 o NK cells have CD-56 and CD-16 on their surface.